Which of the following does not require radiograph:
1. Tanaka and Johnson
2. Hixon - old father.
3. Stanley and Kerber
4. Nance model analysis

Correct answer: 1. Tanaka and Johnson